Which of the following artery passes between the roots of the auriculotemporal nerve?
1. Maxillary artery
2. Middle meningeal artery
3. Superficial temporal artery
4. Accessory meningeal artery

Correct answer: 2. Middle meningeal artery

Explanation: Middle meningeal artery passes between roots of auriculotemporal nerve.